All are used in treatment of hypercalcemia, except:
1. Phosphate
2. Mithramycin
3. Vitamin D in high dose
4. Any of the above

Correct answer: 3. Vitamin D in high dose

Explanation: Answer is C (Vitamin Din high doses): Vitamin D administration is associated with hypercalcemia and hence it cannot be used in the treatment of hypercalcemia